Which of the following is treatment of choice for the treatment of a 2 month old child with C/C of watering and discharge of the eye with normal anterior and posterior chamber findings:-
1. Massage over lacrimal sac
2. Syringing and probing
3. Balloon catheter dilation
4. Dacryocystorhinostomy

Correct answer: 1. Massage over lacrimal sac

Explanation: Congenital Nasolacrimal Duct Obstruction Congenital NLDO- Membranous block of valve of Hasner Most open spontaneously by 4-6 weeks 90% resolve by 1st yr Management of NLDO Obstruction 0-6 months: Crigler massage (massage over lacrimal sac) 6 months - 2yrs: Syringing & Probing (can be repeated thrice) > 2 years: 3 failed probing attempts or more than 2 yr (preferably 4 years) of age you can go for DCR. Lacrimal scintigraphy -lacrimal scintigraphy mimicks "physiological" lacrimal outflow, being performed under pressure gradients